Ciclipirox Oleamine is used in :
1. Dermatophytosis
2. Acne
3. Psoriasis
4. Lichen Planus

Correct answer: 1. Dermatophytosis

Explanation: A i.e. Dermatophytosis